Selective media for N. gonorrhoeae -
1. Thayer main media
2. Smith noguchi media
3. Proskaur and Bech media
4. Bordet gongue, media

Correct answer: 1. Thayer main media

Explanation: Ans. is 'a' i.e., Thayer main media